Longest acting beta adrenergic blocker?
1. Atenolol
2. Sotalol
3. Nadolol
4. Esmolol

Correct answer: 3. Nadolol

Explanation: (Ref: Katzung Pharma, 14th ed. pg. 162-166)The b antagonists are rapidly distributed and have large volumes of distribution.Most b antagonists have half-lives in the range of 3-10 hours. A major exception is esmolol, which is rapidly hydrolyzed and has a half-life of approximately 10 minutes. Therefore, esmolol is the shortest acting b blocker.Nadolol is excreted unchanged in the urine and has the longest half-life of any available b antagonist (up to 24 hours).The half-life of nadolol is prolonged in renal failure. Therefore, it is contraindicated in renal failure.b blockers which are contraindicated in renal failure are: ' (remember as ANS)# Atenolol# Nadolol# Sotalol"ALSO KNOW" ABOUT b BLOCKERS:b1 receptors are present mainly on heart. Therefore selective b1 BLOCKERS are for cardiac condition mainly.b2 receptors are present mainly on respiratory pathway and some on liver, uterus, bladder etc. therefore b2 stimulators are used in conditions like asthma, preterm labor, urinary incontinence etc.Most cardioselective b blocker- NEBIVOLOLLongest acting- NADOLOLShortest acting- ESMOLOLb blockers which is DOC in open angle glaucoma in India-TIMOLOL